Ascending pain pathway is inhibited in dorsal midbrain by encephalin anda) 5-HT (serotonin)b) Noradrenalinec) Substance Pd) Glutamatee) Adenosine
1. ac
2. a
3. ab
4. bc

Correct answer: 3. ab

Explanation: Opioid interneurons inhibit the spinothalamic pain transmission after activation by serotonin and noradrenaline.